17 D strain is used to prepare which vaccine -
1. OFV
2. Rubella
3. Chicken pox
4. Yellow fever

Correct answer: 4. Yellow fever

Explanation: Ans. is 'd' i.e., Yellow fever VaccineStrainso RubellaR A 27/3olPV(Salk)}P1, P2, P3 strains (mono or trivalent)o OPV (Sabin)o Measles Edomonston Zagreb strain (most common) Schwarts strain Mortaten straino MumpsJeryll Lynn straino Chicken poxOKA straino BCGDanish 1331o JENakayam strain (MC), Beizing P3 strain, SA 14-14-2o Yellow fever17 Do MalariaSPf.66, Pf 25o HIVmvA (modified vaccinia ankara)rAAV (recombinant adeno associated viral)AIDSVAXSubunit vaccine strain